All of the following are Water Borne Diseases except ?
1. Scabies
2. Salmonella
3. Cholera
4. Hepatitis - A

Correct answer: 1. Scabies

Explanation: Public Health Classification of Water Borne Diseases: Water borne diseases - Illnesses caused by micro-organisms, d/t drinking of untreated or contaminated water Typhoid Cholera Hepatitis- A E.coli Salmonella Water washed diseases - Infections that are caused by poor personal hygiene resulting from inadequate water availability. Conjunctivitis Trachoma Shigellosis, Scabies Typhus Water based diseases - Caused by parasites that spend part of their life cycle in water. Dracunculiasis or Guinea worm disease Water breeding diseases - Insect related diseases which breed in water Malaria Dengue Filariasis (Mansonia) Trypanosomiasis Yellow fever